'Chassaignac's tubercle' is:
1. Erbs point
2. Carotid tubercle on C6 vertebra
3. Found on First rib
4. Medial condyle of humerus

Correct answer: 2. Carotid tubercle on C6 vertebra

Explanation: Ans. B Carotid tubercle on C6 vertebraRef: Gray's, 41st ed. pg. 414, Color Atlas of Human Anatomy, pg. 446* Chassaignac's tubercle (carotid tubercle) is the other name of anterior tubercle of transverse process of C6 vertebra.* It is the longest tubercle of Cervical (C6) Vertebra.